Which one of the following nerve is injured in Fracture shaft of humerus?
1. Median nerve
2. Radial nerve
3. Axillary nerve
4. Ulnar nerve

Correct answer: 2. Radial nerve

Explanation: (B) Radial nerve COMMON NERVE INJURIESInjuryNerve* Shoulder dislocationAxillary* Humeral shaft fractureRadial* Humeral supracondylar Radial or Median* Elbow medial condyleUlnar* Monteggia dislocationPosterior interosseous* Hip dislocationSciatic* Knee dislocationPeroneal